Which of the following parasite causes anaemia?
1. Entamoeba histolytica
2. Isospora belli
3. Trichomonas vaginalis
4. Diphyllobothrium latum

Correct answer: 4. Diphyllobothrium latum